Chancre redux is a clinical feature of
1. Early relapsing syphilis
2. Late syphilis
3. Chancroid
4. Recurrent herpes simplex infection

Correct answer: 1. Early relapsing syphilis

Explanation: Chancre- primary lesion in syphilis (hard chancre)Chancre redux is the relapse of the chancre lesions in the early stage of syphilisSecondary syphilis-Cutaneous lesionsRoseolarsyphilidePapularsyphilidePsoriasiform lesion CondylomataMalignant syphilidePalm & sole lesion ( Coppery red lesion )Mucosal lesions Mucous patches Snail track ulcers Lymphadenopathy Generalized symmetrical rubbery lymphadenopathy Systemic involvement Periostitis, Arthritis Iridocyclitis, Uveitis, ChorioretinitisNephritic syndrome Late or tertiary syphilis- cardiovascular lesions and tabes dorsalis seen(Ref: Ananthanarayan 9th edition, p372)